Fortification of foods with specific nutrients as salt with iodine is an example of
1. Primordial prevention
2. Primary prevention
3. Secondary prevention
4. Tertiary Prevention

Correct answer: 2. Primary prevention

Explanation: Primary prevention Primary prevention can be defined as "action taken prior to the onset of disease, which removes the possibility that a disease will ever occur". It signifies intervention in the pre-pathogenesis phase of a disease or health problem (e.g.,Low birth weight) or other departure from health. Primary preventionmay be accomplished by measures designed to promote general health and well-being, and quality of life of people or by specific protective measures. These are discussed in detail elsewhere under "Mode of Intervention". Ref: Park 24th Edition. Pgno : 46